Extreme preterm is defined as
1. 34-36 weeks
2. 32-33 weeks
3. 28-31 weeks
4. < 28 weeks

Correct answer: 4. < 28 weeks

Explanation: Preterm labor is defined as one where the labor starts before 37th completed week, counting from the first day of the last menstrual period Lower limit of gestation is - 20 weeks in developed countries 28 weeks in developing countries Ref: Dutta Obs 9e pg 294.